Lateral internal sphincterotomy is useful for:
1. Anal fistula
2. Anal canal strictures
3. Haemorrhoids
4. Anal fissure

Correct answer: 4. Anal fissure

Explanation: Ans. D: Anal fissure Lateral internal sphincterotomy is the preferred method of surgery for persons with chronic anal fissures, and is generally used when medical therapy has failed. It is associated with a lower rate of side effects than older techniques such as posterior internal sphincterotomy and anoplasty, and has also been shown to be superior to topical glyceryl trinitrate (GTN 0.2% ointment) in long term healing of fissures, with no difference in fecal continence.